Contrast used in CT scan -
1. Gadolinium
2. Technitium
3. Iodine
4. Chromium

Correct answer: 3. Iodine

Explanation: Contrast used in CT is Iodine MRI contrast used is Gadolinium.